False denticles are all except
1. Do not exhibit dentinal tubules
2. Localized masses of calcified tissue resembling dentin
3. Appear as lamellae deposited around a central nidus
4. Larger than true denicles

Correct answer: 2. Localized masses of calcified tissue resembling dentin